Which of the following is not a feature of malignant transformation by cultured cells?
1. Increased cell density
2. Loss of anchorage
3. Increased requirement for growth factors
4. Alterations of cytoskeletal structures

Correct answer: 3. Increased requirement for growth factors

Explanation: When malignant transformation occur in cultured cells, their requirement for growth factors does not increase. On the contrary it decreases. The process of malignant transformation is associated with a stable, heritable loss of requirement of cultured cells for growth factors.Initial normal cell lines are fully dependent on growth factors and hormones for their growth. Once malignant transformation occurs, they become fully independent from hormones and growth factors. Ref: Robbins Pathologic Basis of Disease, 7th Edition, Pages 293-4; Harper Biochemistry, 26th Edition, Page 654